Which of the following is seen in acute congestive glaucoma -
1. Constricted pupil
2. Oval, vertical pupil
3. Ovalhorizontal pupil
4. Circular pupil

Correct answer: 2. Oval, vertical pupil

Explanation: Ans. is 'b' i.e., Oval, vertical pupil o Mild dilated (semidilated), vertically oval pupil is characteristic of acute congestive glaucoma.Sings of acute congestive glaucomaLid edemaConjunctiva is chemosed and congested (both conjunctiva] & ciliary vessels are congested)Cornea is oedematous and insensitiveAnterior chamber is very shallow & with aqueous flareAngle of anterior chamber is closed (on gonioscopy)Iris is discolouredPupil is semidilated, vertically oval and fixed. It is non reactive to both light and accommodation.IOP is markedly raised (40- 70 mm Hg)Optic disc is oedematous & hyperemicFellow eye shows shallow anterior chamber and a narrow' angle.